A 26 year old female patient complains of tooth sensitivity while eating ice-cream. Intra-oral examination reveals Class V lesion with 23. She also gives a history of bruxism. Microfilled composite is most useful in this patient due to:
1. Increased viscosity
2. Low modulus of elasticity
3. Low filler content
4. None of the above

Correct answer: 2. Low modulus of elasticity

Explanation: The low modulus of elasticity of microfilled composites allow them to flex with tooth and protect the bonding interface. This is most useful in bruxism, clenching and stressful occlusion where flexure forces are high.
Reference- Sturdevant 4th ed P:257